Condition required for autoclave is?
1. 121°C temperature for 20 min
2. 121°C temperature for 15 min
3. 100°C temperature for 60 min
4. 100°C temperature for 90 min

Correct answer: 2. 121°C temperature for 15 min

Explanation: Autoclave: Recommended condition- 121–124°C temperature for 15 min at 1.1 bar pressure
Alternate: 134–138°C temperature for 3 min at 2.2 bar pressure
Hot air oven: 160°C temperature for 120 min or 180°C temperature for 30 min